Sarcoma botryoides of vagina commonly occurs in which age group-
1. <10 years
2. 20-30 years
3. 40-50 years
4. 50-60 years

Correct answer: 1. <10 years

Explanation: Ans. is 'a' i.e., < 10 years * Sarcoma botryoides or botryoid rhabdomyosarcoma is a subtype of embryonal rhabdomyosarcoma, that can be observed in the walls of hollow, mucosa lined structures such as the nasopharynx, common bile duct, urinary bladder of infants and young children or the vagina in females, typically younger than age 8. The name comes from the gross appearance of "grape bunches" (botryoid in Greek).